Actively bleeding peptic ulcer can be managed endoscopically by injection therapy using epinephrine. The concentration of epinephrine used in this contest is:
1. 1 in 1000
2. 1 in 5000
3. 1 in 10,000
4. 1 in 30,000

Correct answer: 3. 1 in 10,000

Explanation: Injection therapy for bleeding peptic ulcer is performed with the use of a sclerotherapy needle to inject epinephrine. Epinephrine is diluted to a concentration of 1 : 10,000 or 1 : 20,000, submucosally into or around the bleeding site . The advantages are 1.Wide availability 2.Relatively low cost 3.Safety in patients with a coagulopathy. 4.Lower risk of perforation and thermal burn damage than the thermal techniques. The disadvantage Not as effective for definitive hemostasis as thermal coagulation, hemoclipping or combination therapy. Injection therapy also be performed with a sclerosant (ethanolamine or alcohol) Ref:Sleisenger and Fordtran's,E-9,P-291